All are signs of congestive cardiac failure in infants except?
1. Gallop rhythm ( S3)
2. Lack of weight gain
3. Large volume pulse
4. peripheral cyanosis

Correct answer: 3. Large volume pulse

Explanation: CONGESTIVE CARDIAC FAILURE: --> Inability of heart to maintain cardiac output, necessary to meet metabolic needs of the body. --> SIGNS OF CCF: LEFT SIDED FAILURE FAILURE OF EITHER SIDE RIGHT SIDED FAILURE Tachypnea Cardiac Enlargement Hepatomegaly Tachycardia Gallop rhythm ( S3 ) Facial Edema Cough Peripheral cyanosis Jugular venous enlargement Wheezing Small volume pulse Pedal edema Rales in chest Lack of weight gain